Which is used as Fungal Stain in tissue biopsy sections?
1. PAS
2. Alizarin red
3. LPCB
4. Masson Trichrome

Correct answer: 1. PAS

Explanation: Gomori Methenamine Silver (GMS) and Periodic acid-Schiff (PAS) are the two most common stains used to look for fungi intissues and in cytology specimens in the daily practice of pathology. The presence offungus in the tissue sections provides an indisputable evidence of invasive infection Ref ganong's review of medical physiology 25e